Fick's law, flux of Geomembrane increased in:
1. Concentration across
2. Temperature
3. Increased size of molecule
4. Weight

Correct answer: 1. Concentration across

Explanation: A i.e. Concentration acrossAccording to Fick's law of diffusion, the net rate of diffusion is directly proportional to available surface area across which diffusion is taking place and the concentration or chemical gradient but inversely proportional to thickness of membraneQ.Fick's Law of DiffusionThe magnitude of diffusing tendency is directly proportionate to the cross sectional area across which diffusion is taking place and the concentration gradient or chemical gradient , which is the difference in concentration of the diffusing substance divided by the thickness of boundary.